Thromboxane A2,
1. Formed by platelets
2. Formed from PGG,IPGR
3. Prothrombotic
4. All

Correct answer: 4. All

Explanation: Ans. is 'a' i.e., Formed by platelets; 'b' i.e., Formed from PGG2/PGH2 ; 'c' i.e., Prothrombotic Thromboxane A2 (TXA21 oRT TXA, is synthesized by platelets from arachidonic acid PGG2 and PGH2 intermediate through cycloxygenase pathway. o It is a potent inducer of platelets aggregation --> prothrombotic activity. o It is a vasoconstrictor.